In case of blunt injury Thorax M.C. Complication is -
1. Pneumothorax
2. Rib #
3. Haemopneumothorax
4. Aortic rupture

Correct answer: 2. Rib #